A newborn baby presents with shock, hyperkalemia and hypoglycemia. What is the most likely diagnosis
1. Septicemia
2. Inborn error of metabolism
3. Diabetes mellitus
4. Congenital adrenal hyperplasia

Correct answer: 4. Congenital adrenal hyperplasia

Explanation: These features of congenital adrenal hyperplasia may due to deficiency of 21-hydroxylase and present with ambiguous genetalia,polyuria,shock,recurrent vomiting and features of sepsis with negative septic screen. Reference : OP Ghai,essential paediatrics,8th edition page no 526